Following are least susceptible to disinfectants and antiseptics?
1. Spore
2. Protozoa
3. Prions
4. Fungi

Correct answer: 3. Prions

Explanation: Protozoa, spores and fungi can be killed by autoclaving, hot air oven, gamma radiation or chemisterilants like Cidex, ethylene oxide or plasma. Prions Most resistant to disinfectants and antiseptics Resistant to dry heat, proteases, gamma radiation or chemisterilants like Cidex, ethylene oxide or plasma. Killed by autoclaving for 18 minutes at a temperature of 134deg C or 20-40% sodium hypochlorite.